Lichen planus:
1. Can undergo malignant change
2. Treated only by medication
3. Must be excised
4. Is an idiosyncrasy reaction

Correct answer: 1. Can undergo malignant change